Pancreas divisum is:
1. Duplication of the pancreas
2. Failure of fusion of dorsal & ventral pancreatic buds
3. Formation of more than two pancreatic buds
4. Formation of only one pancreatic bud

Correct answer: 2. Failure of fusion of dorsal & ventral pancreatic buds

Explanation: Ans. B. Failure of fusion of dorsal & ventral pancreatic budsPancreas divisum occurs when the dorsal and ventral pancreatic buds fail to fuse with each other. As a result, the two parts of pancreas derived from two buds remain separate from each other.